Population covered by a community health centre-
1. 5000
2. 30,000
3. 1000
4. 100,000

Correct answer: 4. 100,000

Explanation: As on 31 st march 2014 ,5,363 community health centers were established by upgrading the primary health centers,each community health center covering a population of 80,000 to 1.20 lakh(one in each community development block) with 30 beds and specialists in surgery,medicine,obstetrics and gynecology and paediatrics with x-ray and laboratory facilities (refer pgno:907 park 23 rd edition)